Shrugging muscle among the following?
1. Trapezius
2. Rhomboid minor
3. Serratus anterior
4. Latissimus dorsi

Correct answer: 1. Trapezius

Explanation: MuscleNerve supplyActionsTrapeziusSpinal part of the accessory nerve is motor.Branches from C3, C4 are proprioceptiveUpper fibers act with levator scapulae and elevatethe scapula, as in shruggingMiddle fibers act with rhomboids and retract thescapulaUpper and lower fibers act with serratus anterior and rotate the scapula forwards around the chest wall thus playing an important role in the abduction of the arm beyond 90oSteadies the scapulaRef: Chaurasia; Volume 1; 6th edition; Page no: 62